A hospital worker is found to be HBs Ag (+) ye. Further serum investigations show HBe(+)ve and IgG anti HBc (+)ve. The given hospital worker is?
1. Acute Hepatitis B patient with High infectivity
2. Simple carrier with high infectivity
3. Chronic infection with high infectivity
4. Immunized person for Hepatitis B

Correct answer: 3. Chronic infection with high infectivity

Explanation: Ans. is 'c' i.e., Chronic infection with high infectivity HBsAgAnti HBs AgHBeAgAnti HBe AgAnti HBcAgAcute HBV (high infectivity) +-+ IgMAcute HBV (low infectivity)+- +IgMChronic HBV (high infectivity)+-+ IgGChronic HBV (low infectivity) +- +IgGRecovery -+-+IgG